What type of hypersensitivity reaction is seen in myasthenia gravis?
1. Type 1 hypersensitivty reaction
2. Type 2 hypersensitivty reaction
3. Type 3 hypersensitivty reaction
4. Type 4 hypersensitivty reaction

Correct answer: 2. Type 2 hypersensitivty reaction

Explanation: Type 2 hypersensitivity reactions: My - Myasthenia gravisBlood - blood transfusion reactionsGroup- Goodpasture syndrome and Graves diseaseIs - Insulin resistant DM, ITPR - Rheumatic feverH - hyperacute graft rejectionPositive - pernicious anaemia & pemphigus vulgaris Ref : Ananthanarayana textbook of Microbiology 9th edition Pgno : 162,165